Etanercept used in rheumatoid arthritis act by -
1. TNF alpha
2. TFG beta
3. IL-2
4. IL-6

Correct answer: 1. TNF alpha